Chlorhexidine on tooth causes
1. No stain
2. Brownish yellow stains
3. Greenish yellow stain
4. Blue back stain

Correct answer: 2. Brownish yellow stains